Epispadias in relation to hypospadias ?
1. Is more common
2. Less common
3. Occures with the same frequency
4. Is difficult to treat

Correct answer: 2. Less common

Explanation: Ans. is 'b' i.e., Less common